Systemic infection is caused by all fungi except ?
1. Cryptococcus
2. Histoplasma
3. Dermatophytes
4. Paracoccidioides

Correct answer: 3. Dermatophytes

Explanation: Ans. is 'c' i.e., Dermatophytes SYSTEMIC MYCOSES Deep seated fungal infections caused by fungi that are soil saprophytes. Infection is accidental. Inhalation of air borne spores produced by moulds Dimorphic fungi are causative agents. Ex: - Blastomyces dermatitidis - Paracoccidioides brasiliensis - Coccidioides immitis - Histoplasma capsulatum